A 6 yr old child presenting with recurrent episodes of gross hematuria for 2 yrs, is likely to have:
1. Wilm's tumour
2. Henoch Schonlein Purpura (HSP)
3. IgA nephropathy
4. Neuroblastoma

Correct answer: 3. IgA nephropathy

Explanation: Recurrent episodes of painless gross hematuria represent the classic clinical presentation of IgA nephropathy. All other conditions may cause microscopic hematuria but gross hematuria in children is charecteristic of IgA Nephropathy. Ref: O P Ghai 6th Edition, Page 446, 448, 573, 574; Harrison 17th Edition, Page 1788; Rudolph Pediatrics 21st Edition, Page 1682